Arterial supply to dura mater is from all of the following except
1. Middle meningeal artery
2. Internal carotid artery
3. Ascending pharyngeal artery
4. Basilar artery

Correct answer: 4. Basilar artery

Explanation: Numerous arteries supply the dura mater from the internal carotid, maxillary, ascending pharyngeal, occipital, and vertebral arteries.From a clinical standpoint, the most important is the middle meningeal artery, which is commonly damaged in head injuries.The middle meningeal artery arises from the maxillary artery in the infratemporal fossa. To enter the cranial cavity, it passes through the foramen spinosum to lie between the meningeal and endosteal layers of dura.The anterior (frontal) branch's course corresponds roughly to the line of the underlying precentral gyrus of the brain. The posterior (parietal) branch curves backward and supplies the posterior part of the dura mater.